Coffee bean nuclei are seen in all of the following Except
1. Granulosa cell tumor
2. Follicular carcinoma thyroid
3. Brenner tumor
4. Langerhan's cell histiocytosis

Correct answer: 2. Follicular carcinoma thyroid

Explanation: A nucleus with longitudinal groove gives it a coffee bean nuclei appearance and is seen characteristically inPapillary carcinoma thyroidBrenner tumorGranulosa cell tumorLangerhan's cell histiocytosis